A 30 year old presents with nausea, weakness, headache and impaired vision and high anion gap metabolic acidosis. Most likely cause is:
1. Methanol
2. Ethanol
3. Ethylene glycol
4. Amphetamine

Correct answer: 1. Methanol

Explanation: Methanol